False regarding opiate withdrawal syndrome -
1. Characterized by body pain
2. Characterized by dilatation of pupils
3. Treated with naltrexone
4. Treated with methadone

Correct answer: 3. Treated with naltrexone

Explanation: Here I would like to clear all the confusion regarding the use of naltrexone in opioid withdrawal.
Though naltrexone can be given during treatment of opioid withdrawal (detoxification), It is not given to treat the symptoms of withdrawal syndrome, rather it is given to precipitate the symptoms of withdrawal syndrome, which are prevented and treated by addition of clonidine. By this method, more rapid detoxification occurs.